Euchromatin is the region of DNA that is relatively:
1. Uncondensed
2. Condensed
3. Overcondensed
4. Partially condensed

Correct answer: 1. Uncondensed

Explanation: When the chromatin are viewed under electron microscope during interphase of the cell cycle, transcriptionally active chromatin stains less densely as it is more loosely packed. This chromatin is referred as euchromatin. Ref: Harper Illustrated Biochemistry, 26th Edition, Chapter 36, Page 316